Patients suffering from which of the following disease as per ICD/DSM criteria are eligible for disability benefit as per the National Trust Act?
1. Schizophrenia
2. Bipolar disorder
3. Dementia
4. Intellectual disability

Correct answer: 4. Intellectual disability

Explanation: National Trust Act (1999) is an act to provide for the constitution of a body at the national level for the welfare of persons with Autism, Cerebral palsy, Intellectual disability, and Multiple disabilities and for matters connected therewith or incidental thereto.